Feature of ruptured skin caused by excessive heat:
1. Irregular margin
2. Clear regular margin
3. Contused margin
4. Abraded margin

Correct answer: 1. Irregular margin

Explanation: Ans. Irregular margin